Thermo-stability in DNA is contributed mostly by
1. A=T
2. G=C
3. Molecular base
4. Parallel arrangement

Correct answer: 2. G=C

Explanation: Base Composition.More GC pairs more the Tm.